Multiple small mucinous cysts of the endocervix that result from blockage of endocervical glands by overlying squamous metaplastic epithelium are called
1. Bartholin's cysts
2. Chocolate cysts
3. Gartner's duct cysts
4. Nabothian cysts

Correct answer: 4. Nabothian cysts

Explanation: Obstruction of the ducts of any of the glands found within the female genitalia may cause the formation of a genital cyst. The paired Bartholin's glands, which are analogous to the bulbourethral glands of the male, are located in the lateral wall of the vestibule. If these are obstructed, a cyst may form that is usually lined with transitional epithelium. Gartner's duct cysts, derived from Wolffian (mesonephric) duct remnants, are located in the lateral walls of the vagina. Cysts derived from the same Wolffian duct may also be found on the lateral aspect of the vulva and are called mesonephric cysts. Obstruction of the ducts of the mucous glands in the endocervix may result in small mucous (Nabothian) cysts. Cysts may also be found within the skin of the vulva. These cysts, which contain white, cheesy material, are called keratinous (epithelial inclusion) cysts. Clinically they are referred to as sebaceous cysts, which is a misnomer. Follicular cysts are benign cysts of the ovary, while "chocolate cysts" refers to cystic areas of endometriosis that include hemorrhages and blood clots. Reference: Robbins & Cotran Pathologic Basis of Disease, 9edition